Test for (3- thalassemia trait -
1. HbA2
2. HbF
3. Fragility test
4. Coomb's test

Correct answer: 1. HbA2

Explanation: Ans. is 'a' i.e., HbA2Hemoglobin electrophoresis is classically associated with elevated HbA2